False regarding gout is:
1. Due to increased metabolism of pyrimidines
2. Due to increased metabolism of purines
3. Uric acid levels may not be elevated
4. Has a predilection for the great toe

Correct answer: 1. Due to increased metabolism of pyrimidines

Explanation: Gout is due to disorder of purine metabolism which result in excess formation of uric acid which in turn accumulate in synovial fluid resulting in gouty arthritis. Ref: Textbook of Biochemistry By DM Vasudevan, 3rd Edition, Pages 339 ; Lippincott Biochemistry, 2nd edition, Pages 350, 353 ; Harrison's Principles of Internal Medicine, 14th Edition, Pages 2161, 15th Edition, Pages 1994-95 ; Davidson's Medicine, 17th Edition, Page 882